The globus pallidus projects to the thalamus the:
1. Ansa lenticularis.
2. Ansa peduncularis.
3. Fasciculus retroflexus
4. Stria medullaris

Correct answer: 1. Ansa lenticularis.

Explanation: 1 Globus pallidus projects to the thalamus the lenticular and thalamic fasciculi the ansa lenticularis 2 ansa peduncularis interconnects the amygdaloid nucleus and the hypothalamus. 3 fasciculus retroflexus interconnects the habenular nucleus and the interpeduncular nucleus 4 stria medullaris interconnects the septal area (nuclei) and the habenular nuclei